Not true about churg- strauss syndrome is?
1. Asthma
2. Multisystem involvement of vessels
3. Intravascular granulomas
4. Perpheral eosinophilia

Correct answer: 3. Intravascular granulomas

Explanation: Intravascular granulomas REF: Harrison 17th ed chapter 319 Churg-Strauss syndrome, also referred to as allergic angiitis and granulomatosis, was described in 1951 by Churg and Strauss and is characterized by asthma, peripheral and tissue eosinophilia, extravascular granuloma formation, and vasculitis of multiple organ systems.